Based on the type of life cycle, zoonoses are classified into all of the following except -
1. Cyclo-zoonoses
2. Meta-zoonoses
3. Anthropozoonoses
4. Sporozoonoses

Correct answer: 3. Anthropozoonoses

Explanation: Ans. is 'c' i.e., Anthropozoonoses Classification of zoonoses 1) Based on direction of transmission : (i) Anthropozoonoses, (ii) Zoonthroponoses, and (iii) Amphixenoses 2) Based on type of life cycle : (i) Direct zoonoses, (ii) Cyclo-zoonoses, (iii) Meta-zoonoses, and (iv) Sporozoonoses.